Ligament of poupart is
1. Linea alba
2. Pectineal ligament
3. Lacunar ligament
4. Inguinal ligament

Correct answer: 4. Inguinal ligament

Explanation: Ligament of poupart is another name for Inguinal ligament